For large country surveys the sampling method of choice is:
1. Multiple sampling
2. Multiphase sampling
3. Cluster sampling
4. Multistage random sampling

Correct answer: 4. Multistage random sampling